A 3-year-old boy is brought by his mother because he had a high fever for the past week. Physical examination reveals bilateral injected conjunctivae, palmar erythema, oral mucositis, cervical lymphadenopathy, and solar erythema. What is the most likely diagnosis?
1. Erysipelas
2. Scarlet fever
3. Mucocutaneous lymph node syndrome
4. Meningococcemia

Correct answer: 3. Mucocutaneous lymph node syndrome

Explanation: Kawasaki disease (Mucocutaneous lymph node syndrome) Kawasaki disease is MC in children 6 months-5 years. C/F Fever lasting > 5 days, Erythematous rash, Edema in the conjunctivae, lips, and mouth ("strawberry tongue") Palmar and solar erythema Cervical lymphadenitis Mucositis. Note: Syphilis, Rocky Mountain spotted fever, Meningococcemia and Coxsackie virus A infection can also present as palmar and solar erythema.